All of the following are true, EXCEPT:
1. Halothane is good as an analgesic agent
2. Halothane sensitises the heart to action of catacholamines
3. Halothane relaxes bronchi & is preferred in asthmatics
4. Halothane may cause Liver cell necrosis

Correct answer: 1. Halothane is good as an analgesic agent

Explanation: Halothane is a potent anaesthetic but is not a good analgesic or muscle relaxant. Ref: Essentials of Medical Pharmacology By KD Tripathi, 5th Edition, Pages 339-40